Which muscle does NOT contribute to dorsal digital expansion
1. Interossei
2. Lumbricals
3. Extensor digitorum
4. Adductor pollicis

Correct answer: 4. Adductor pollicis

Explanation: Dorsal digital expansion is a tendinous modification of extensor digitorum and receives attachment of lumbricals, interossei but not adductor pollicis. Lumbricals andinterossei- MCP Flexion & IP extension their attachments to dorsal digital Expansion